In Membranoprol ferative glomerulonephritis, the characteristic feature is:
1. Thickening and splitting of capillary basement membrane
2. Nil lesion
3. Mesangial cell proliferation
4. Fibrin cap

Correct answer: 1. Thickening and splitting of capillary basement membrane

Explanation: Ans. A i.e. Thickening and splitting of capillary basement membrane